Nucleotides are
1. Heterocyclic Compounds
2. N-Glycosides
3. Phosphorylated Nucleosides
4. O-Glycosides

Correct answer: 3. Phosphorylated Nucleosides

Explanation: Purines & Pyrimidines Are Heterocyclic Compounds.Nucleosides Are N-Glycosides.Nucleotides Are Phosphorylated Nucleosides .Ref: Harper's Biochemistry; 30th edition; Chapter 32; Nucleotides